NSAID proposed to be acting via inhibition of COX–3 is :
1. Nimesulide
2. Paracetamol
3. Ketorolac
4. Rofecoxib

Correct answer: 2. Paracetamol